A male, 55 years old is brought to the clinic in unconscious condition. The patient is a Type 2 diabetic since 15 years. General examination reveals RBS levels 268 mg/dl. Blood and Urine samples confirm the presence of  ketone bodies. Which of the following substances found raised in this patient blood is volatilized by lungs?
1. β-hydroxybutyrate
2. Acetoacetate
3. Acetone
4. Glycerol 3- phosphate

Correct answer: 3. Acetone

Explanation: In most cases, ketonemia is due to increased production of ketone bodies by the liver rather than to a deficiency in their utilization by extrahepatic tissues. While acetoacetate and d(−)-3-hydroxybutyrate are readily oxidized by extrahepatic tissues, acetone is difficult to oxidize in vivo and to a large extent is volatilized in the lungs.
A clear understanding of the biochemical basis and pathophysiology of DKA is essential for its efﬁcient treatment.
The cardinal biochemical features are:

Hyperketonaemia (≥  3.0 mmol/L) or ketonuria (more than 2+ on standard urine sticks)
Hyperglycaemia (blood glucose  ≥ 11 mmol/L, (approximately 200 mg/dL))
Metabolic acidosis (venous bicarbonate < 15 mmol/L and/or venous pH < 7.3 (H+ > 50 nmol/L)).

Reference: HARPERS ILLUSTRATED BIOCHEMISTRY30th ed Page no 231; Davidson, page no 735